A patient suffering from purulent sputum, cough and clubbing of fingers is probably suffering from:
1. Lung abscess with left ventricular failure
2. Bronchiectasis
3. Chronic bronchitis
4. Acute upper respiratory tract infection

Correct answer: 2. Bronchiectasis